Turner syndrome is associated with?
1. Coarctation of aorta
2. Aortic dissection
3. Aortic regurgitation
4. Pulmonicttenosis

Correct answer: 1. Coarctation of aorta

Explanation: Ans. is 'a' i.e., Coarctation of Aorta o Coarctation of Aorta may be seen in patients with Turner's syndrome.